Lack of insight is not a feature of:
1. Panic disorder.
2. Schizophrenia.
3. Mania.
4. Reactive Psychosis.

Correct answer: 1. Panic disorder.

Explanation: Ans. is 'a' panic disorder Impairment of insight is a feature of psychotic disorders.Panic disorder is not a Psychotic disorder, it is a neurotic disease.Go through the following differences between psychotic & neurotic diseases :Psychotic diseasesNeurotic diseasesGross impairment in contact with reality Marked disturbance in personality Loss of insightPresence of characteristic symptoms like delusions & hallucinationsContact with reality present Insight in presentPersonality & behaviour relatively preservedDelusions and hallucination are usually absentExamples of Psychosis nonorganicExamples of Neurosis |1. Schizophrenia |2. Mood disorder |3.Delusional disorder| 1.Phobia | 2. Anxiety |3.Dissociative|4.Conversion Depression disorderdisorder Mania Bipolar disorder| 2a.Generalised Anxiety |3b.Panic disorder|4a.Somatofor-m disorder